Surfactant acts on:
1. Bronchi
2. Alveoli
3. Bronchioles
4. Trachea

Correct answer: 2. Alveoli

Explanation: Ans. B i.e. Alveoli Pulmonary surfactant It is a surface-active lipoprotein complex (phospholipoprotein) formed by type II alveolar cells. The proteins and lipids that comprise the surfactant have both a hydrophilic region and a hydrophobic region. By adsorbing to the air-water interface of alveoli with the hydrophilic head groups in the water and the hydrophobic tails facing towards the air The main lipid component of surfactant, dipalmitoyl phosphatidyl choline (DPPC), reduces surface tension.